If a completely radioactive double stranded DNA molecule undergoes two rounds of replication in a solution free of radioactive label. What is the radioactivity status of the resulting four double stranded DNA molecules
1. 50% of the DNA molecules have no radioactivity
2. 2 DNA molecules have radioactivity in both strands
3. I DNA molecule has radioactivity in both strands
4. All 4 DNA molecules have radioactivity

Correct answer: 1. 50% of the DNA molecules have no radioactivity

Explanation: DNA replication is semi conservative. Thus 2 DNA molecules have one strand with radioactivity and other 2 DNA molecules have no radioactivity.